The incubation period of yellow fever is -
1. 3 to 5 days
2. 3-4 weeks
3. 1 to 2 weeks
4. 8-10 weeks

Correct answer: 1. 3 to 5 days

Explanation: YELLOW FEVER:- Zoonoses disease caused by arbovirus. Affects principally monkeys and other vertebrates and is transmitted to humans by culicine mosquitoes. Reservoir- mokeys and forest mosquitoes., in urban areas reservoir is man besides Aedes aegypti. A temperature of 24 deg celcius or more required for its multiplication. Incubation period:3-6 days Period of communicability- Blood of patients infective upto first 3-4 days {Reference: park's textbook of preventive and social medicine, 23rd edition, pg no.282}